Friable and bulky vegetations are seen in which of the following:
1. Infective endocaitis
2. Libman sack's endocaitis
3. Rheumatic fever
4. All of the above

Correct answer: 1. Infective endocaitis

Explanation: Ans. A: Infective endocaitisInfective EndocarditisFriable (easily disintegrates), bulky, bacterial laden vegetations on heart valveVegetations may be single or multipleVegetation size varies from a few millimeters to centimeters- In acute endocarditisVegetations tend to be bulkierVegetations occur on normal valvesInvasion may cause perforation or erosion of underlying valve leaflet, and may spread to form abscesses in the myocardium- In subacute endocarditisVegetations tend to be smallerVegetations occur on structurally abnormal valvesInvasion does not tend to cause perforation or erosion of underlying valve leaflet, but often extend onto the adjacent mural endocardium- In prosthetic valvesVegetations tend to form on margin of the sewing ring --> ring abscessesThis may lead to paravalvular perforation --> regurgitation of blood or this may destroy the entire area of attachment of the prosthetic valve --> detachment of prosthesis- Post infective endocarditisIf the patient survives, the vegetations gradually become strerile, fibrose, organised and calcified